Which of the following conditions does not cause secretory diarrhea?
1. Medullary carcinoma of thyroid
2. Somatostatinoma
3. Carcinoid syndrome
4. Zollinger-Elison syndrome

Correct answer: 2. Somatostatinoma

Explanation: Somatostatinoma causes steatorrhea Chronic Diarrheas - A summary Type Clues Examples Secretory diarrheas || stool volume (> 1L/d); little change with fasting, normal stool osmotic gap. Hormone-producing tumours (Carcinoid syn., Zollinger-Ellison syn., VIPomas, medullary thyroid carcinoma, villous adenoma of the rectum), microscopic colitis, choleric diarrhea (endogenous laxatives, dihydroxy bile acids), Addison's disease, chronic ethanol ingestion, Steatorrhea causes Greasy, foul-smelling, difficult-to-flush diarrhea often a/w weight loss and nutritional deficiencies, | fecal output Malabsorption (Abetalipoproteinemia, bacterial overgrowth, celiac sprue, lactase deficiency), pancreatic insufficiency, short bowel syn., Whipple's disease, somatostatinoma Osmotic diarrheas Stool volume | with fasting, | stool osmotic gap. Osmotic laxatives (Mg2+, PO4-3, SO4-2) Lactase and other disaccharide deficiencies Nonabsorbable carbohydrates (sorbitol, lactulose, polyethylene glycol) Inflammatory diarrheas Fever, hematochezia, abdominal pain Crohn's disease, ulcerative colitis, radiation enterocolitis, eosinophilic gastroenteritis, infections a/w AIDS, malignancy (lymphoma, adenocarcinoma) Diarrheas due to altered intestinal motility Systemic diseases or prior abdominal surgery Irritable bowel syn., fecal impaction, neurologic diseases, systemic diseases (scleroderma, DM, hyperthyroidism) Iatrogenic causes Cholecystectomy, ileal resection, bariatric surgery, vagotomy, fundoplication Ref - Harrison's internal medicine 20e pg 264, 597t, 599, 601, 609